BCG is used for :
1. Treatment of tuberculosis
2. Treatment of superficial bladder cancer
3. Treatment of anthrax
4. All of the above

Correct answer: 2. Treatment of superficial bladder cancer

Explanation: BCG is used for immunization against TB. It is also used for the treatment of superficial bladder cancers. It is directly instilled in the urinary bladder for this purpose.